The most common location of spider nevi is
1. Abdomen
2. Back
3. Neck and shoulder
4. Upper and lower extremities

Correct answer: 3. Neck and shoulder

Explanation: Ref image - Internet (Researchgate.net)